Which of the following is a derivative of paramesonephric duct in males -
1. Trigone of bladder
2. Paraphoron
3. Prostatic utricle
4. Gartner's duct

Correct answer: 3. Prostatic utricle

Explanation: Ans. is 'c' i.e.. Prostatic utricleo Two structures are derived from the paramesonephric duct in malesi) Appendix of the testis (hydatid of Morgagni)ii) Prostatic utricle.o During 5th and 6th weeks, both male and females have two genital duct systems, derived from mesoderm :Mesonephric duct (Wolffian duct) and mesonephric tubules.Paramesonephric duct (Mullerian duct).o The mesonephric duct is the main genital duct in males as it gives rise to the mainly male genital system :MESONEPHRIC DUCT (WOLFFIAN DUCT) : Main genital duct in malesIn Maleso Posterior wall of prostatic urethra proximal too the opening of the ejaculatory ducto Ureteric bud gives rise to ureter; pelvis, calyces and collecting tubuleso Trigone of bladdero Vas deferens, ejaculatory ducto Epididymis, seminal vesicleo Appendix of epididymiso Mesodermal part of prostateIn females (mostly degenerate except)o Posterior wall of the urethrao Ureteric bud gives rise to ureter, pelvis, calyces and collecting tubuleso Trigone of bladdero The duct of epoophoron (Gartner's duct)MESONEPHRIC TUBULESIn Maleso Ductus aberrant superioro Efferent ductules of testiso Ductus aberrant inferiorIn femaleso Epoophorono ParaphoronNote: Epoophoron is a remnant of mesonephric tubules, white duct epoophoron is derived from mesonephric duct.o Paramesonephric duct is the main genital duct in females as it gives rise to the mainly female genital system.PARAMESONEPHRIC DUCT (MULLERIAN DUCT): Main genital duct in femalesFemaleso Fallopian tubeso Uteruso Upper 2/3 of vaginaMaleso Appendix of the testis (Hydatid of Morgagni)o Prostatic utricleNote: Lower 1/3 of the vagina is derived from sinovaginal bulb derived from urogenital sinus. Therefore is endodermal in origin (upper 2/3 is mesodermal in origin as derived from paramesonephric duct).